DNA fingerprinting is used for paternity testing and forensic identification of suspects. Which of the following is the most accurate description of DNA fingerprinting?
1. DNA can be isolated from blood, skin, or sperm and analyzed for variable patterns of restriction fragments arising from tandemly repeated sequences (microsatellites)
2. DNA is copied from blood, skin, or sperm RNA using reverse transcriptase and analyzed for the pattern of complementary DNAs
3. DNA is isolated from blood, skin, or sperm and its fragment size distribution is analyzed by gel electrophoresis
4. DNA is isolated from blood, skin, or sperm and hybridized with probes from the HLA locus to visualize HLA gene patterns

Correct answer: 1. DNA can be isolated from blood, skin, or sperm and analyzed for variable patterns of restriction fragments arising from tandemly repeated sequences (microsatellites)

Explanation: Restriction fragment length polymorphisms (RFLPs) arising from variable numbers of tandem repeats (VNTRs) are the basis of the DNA fingerprinting technique. The process is: (1) isolation of DNA from parent/child or forensicspecimens using blood, skin, or semen; (2) PCR amplification and radioactive labeling of DNA from variable regions in each sample; (3) separation of the variable DNA fragments by gel electrophoresis; and (4) comparison of the DNA fragment patterns among samples. Since numbers of arrays of repeats of two, three, or four base pairs (microsatellites) may vary from 5 to 100 at a particular chromosome locus, particular alleles may occur in less than 1% of the population. As a result, analysis of three loci, each with two alleles, can produce odds as high as (100)6 that the pattern matches a putative father or suspect as compared to a random person from the general population. Reverse transcription based upon RNA-directed DNA synthesis is not utilized in DNA fingerprinting, and the size distribution of undigested DNA reflects its integrity during isolation rather than individual identify. HLA typing uses antibodies to define the constellation of alleles from various loci in the HLA region on chromosome 6. The tendency for certain HLA alleles to occur together (associate) on the same chromosome as haplotypes greatly reduces their odds of identity when compared to DNA fingerprinting.